Fascia around nerve bundle of brachial plexus is derived from:
1. Prevertebral fascia
2. Clavipectoral fascia
3. Deep cervical fascia
4. Pectoral fascia

Correct answer: 1. Prevertebral fascia

Explanation: The prevertebral fascia forms a tubular sheath around the vertebral column and the prevertebral muscles, which are attached to the vertebral column. It,Attaches superiorly from the base of the skull and inferiorly to the endothoracic fascia in the thorax.Extends laterally as the axillary sheath, which surrounds the axillary vessels and brachial plexus of nerves to the upper limb.Contains, within its connective tissue fibers, the cervical sympathetic trunk and ganglia.Ref: Morton D.A., Foreman K.B., Albertine K.H. (2011). Chapter 25. Overview of the Neck. In D.A. Morton, K.B. Foreman, K.H. Albertine (Eds), The Big Picture: Gross Anatomy.